Ephebophilia is:-
1. Sexual attraction of an adult with pubescent adolescents
2. Sexual attraction of an adult with Children
3. Sexual attraction of an adult with adults
4. Sexual attraction of an adult with elderly

Correct answer: 1. Sexual attraction of an adult with pubescent adolescents

Explanation: Ephebophilia: akahebephilia, is the sexual attraction of an adult to pubescent or post-pubescent adolescents. Infantophilia : is a subcategory of pedophilia in which the victims are < 5 years. Gerontophilia : refers to the sexual preference for the elderly.